Thiersch graft is which type of graft?
1. Partial thickness
2. Full thickness
3. Pedicle
4. Patch

Correct answer: 1. Partial thickness

Explanation: Partial Thickness (Thiersch) or Split Skin Graft Consist of epidermis and variable portion of dermisQ Large size graft can be takenQ Site: Thigh (MC)Q upper arm, flexor aspect of forearm and abdominal wall Grafts are hairless and do not sweatQ (these structures are not transferred) MC causes of skin graft failure: Hematoma (or seroma), infection, and movement (shear). = Wolfe is a type of full thickness graft.